Most common causative organism for bacterial meningitis beyond 3 years of age is -
1. Pneumococcus
2. Staphylococcus aureus
3. Meningococcus
4. H. influenzae Type b

Correct answer: 1. Pneumococcus

Explanation: Most common causative organism for bacterial meningitis beyond 3 years of age is - Pneumococcus